True about Minimal change disease is :
1. Appears normal under light microscopy but electron microscope shows loss of foot processes.
2. Mesangial deposits
3. Tram Track appearance
4. Gross haematuria

Correct answer: 1. Appears normal under light microscopy but electron microscope shows loss of foot processes.

Explanation: Answer is A (Appears normal under light microscope but Electron microscope shows loss of foot processes) It is characterised by diffuse loss of foot processes of epithelial cells, which however, is detectable by electron microscopy only; Glomeruli appear normal by Light microscopy. No electron dense deposits are seen in minimal change disease. Mesangial deposits are a feature of mesangioproliferative G.N. eg. Ig A nephropathy. Tram-track appearance is a feature of membrano-proliferative G.N. Haematuria is not a feature of minimal change disease. Gross haematuria is seen in glomerulonephritis that cause acute nephritic syndrome eg. post streptococcal G.N. and IgA G.N.